Karyotype of complete molar pregnancy is
1. 46 XX
2. 69 XXX
3. 69 XXY
4. 69 XYY

Correct answer: 1. 46 XX

Explanation: Complete moles most often have a diploid chromosomal composition. These usually are 46, XX and result from androgenesis, meaning both sets of chromosomes are paternal in origin. The chromosomes of the ovum are either absent or inactivatePaial moles usually have a triploid karyotype .Reference: William's Obstetrics; 25th edition, chapter 20; Gestational trophoblastic diseases